Father of medicine is
1. Hippocrates
2. Susrutha
3. Galen
4. Panacea

Correct answer: 1. Hippocrates

Explanation: Ans) a (Hippocrates) Ref park 20th ed p 3Hippocrates is the father of modern medicine. It was Hippocrates who first related disease to environment.Galen was a great roman medical teacher. His important contributions were in the field of comparative anatomy and experimental physiology. He observed that disease is due to three factors - Predisposing, exciting and environmental factors which was a truly modern idea during those periodsSusrutha is "father of indian surgery"Panacea is regarded as "goddess of medicine".